Infection/inflammation of all of the following causes enlarged superficial inguinal lymph nodes except
1. Isthmus of uterine tube
2. Inferior part of anal canal
3. Big toe
4. Penile urethra

Correct answer: 4. Penile urethra

Explanation: Penile urethra mostly drains into deep inguinal lymphnodes. Ref: Gray's 38e/p-1623